Steroids are contraindicated in all, except
1. Diabetes mellitus
2. Hypertension
3. Eczemtaous skin disease
4. Peptic ulcer disease

Correct answer: 3. Eczemtaous skin disease

Explanation: Refer KDT 6/e p 286 Hypertension and diabetes are aggravated by steroids. In peptic ulcer b, bleeding and silent perforation may occur. Thus steroids are contraindicated in these conditions. However since steroids may have to be used as a life saving measure